A painless, fluid filled retention cyst appearing in the area of recent dental treatment may be the result of
1. Failure of absorption of the anaesthetic
2. Allergic reaction of agents employed
3. Infection occurred during treatment.
4. Injury to salivary gland.

Correct answer: 4. Injury to salivary gland.